Absence-seizures are seen in -
1. Ground mal epilepsy
2. Myoclonic epilepsy
3. Petitmal epilepsy
4. Hyperkinetic child

Correct answer: 3. Petitmal epilepsy

Explanation: Ans. is 'c' i.e., Petitmal epilepsy Absence seizures are also called petitmal or minor epilepsy. o Generalized tonic clonic seizures (GTCS) are also called grand mal or major epilepsy. o Complex partial seizures are also called temporal lobe epilepsy or Psychomotor epilepsy. o Simple partial seizures are also called cortical focal epilepsy.